Ion exchange chromatography is based on
1. Size
2. Charge
3. Solubility
4. Polarity

Correct answer: 2. Charge

Explanation: Ans. is 'b' i.e., Charge